Fungi are -
1. Prokaryotes
2. Eukaryotes
3. Plant
4. Animals

Correct answer: 2. Eukaryotes

Explanation: FUNGUS

A fungus is a member of a large group of Eukaryotic organism that includes microorganisms such as yeasts and moulds, as well as more familiar mushrooms.


The fungi are classified as a kingdom that is separate from plants, animals and bacteria.
One major difference is that the fungal cell wall is composed of chitin and glucans → The only organism that combines these two structural molecules in their cell wall.
Fungi are mostly saprophytes, meaning they obtain their nutrition from the dead organic material.
Fungi have the following characteristics-


Eukaryotic
Possess cell wall
Grows by extending filamentous cells called hyphae, or by budding
Saprophytic
Have no chlorophyll


The cells of fungi are quite similar to those of plants, protists and animals but-


Lack of chlorophyll and the presence of chitin separates it from plants.
Saccharolytic property separates it from animals → Fungi do not ingest their food by eating while animals do.
Filamentous or budding growth habit and presence of cell wall separate it from protists.